Which of the following are unmyelinated nerve fibers?
1. Proprioceptive fibers
2. Motor neuron to muscle
3. Postganglionic sympathetic fibers
4. Motor nerve to intrafusal fibers

Correct answer: 3. Postganglionic sympathetic fibers

Explanation: Ans. is 'c' i.e., Postganglionic sympathetic fibers[Ref Ganong 24h/e p. 92; Principles of medical physiology p. 5I2lType C fibers are unmyelinated fibers which include postganglionic autonomic fibers,